E. Histocytica. True are -
1. Mostly symptomatic
2. Differentiated morphologically from E. dispar
3. Antigenically different from E. disper
4. All

Correct answer: 3. Antigenically different from E. disper

Explanation: Ans. is 'c' i.e., Antigenically different from E. Dispar E. histolytica and E. dispar, Compared and Contrasted Similarities Both species are spread through ingestion of infectious cysts. Cysts of the two species are morphologically identical. Both species colonize the large intestine Differences Only E. histolytica causes invasive disease. Only E. histolytica infections elicit a positive amebic serology The two species have distinct rRNA sequences The two spcies have distinct surface antigens and isoenzyme markers Gal/Gal NAc lecin can be used to differentiate the two species in stool ELISA. About option 'a' - The most common type of amebic infection is asymptomatic cyst passage